Malignant hyperthermia is a rare complication of the use of the following anaesthetic:
1. Ketamine
2. Thiopentone sodium
3. Halothane
4. Ether

Correct answer: 3. Halothane

Explanation: Rarely, Halothane can cause Malignant hyperthermia, which is treated with dantrolene Inhalational anesthetic agents and Depolarising NM blockers like succinylcholine can precipitate malignant hyperthermia.